All of the following can be used to slow down the
setting of zinc oxide eugenol impression paste EXCEPT
1. Adding a small amount of glycerine
2. Adding a small amount of water
3. Altering the amounts of the two pastes used
4. Cooling mixing slab

Correct answer: 2. Adding a small amount of water